Casein, the milk protein is
1. Nucleoprotein
2. Chromoprotein
3. Phosphoprotein
4. Glycoprotein

Correct answer: 3. Phosphoprotein

Explanation: Phosphoproteins: These contain phosphorus. Casein of milk and vitellin of egg yolk are examples. The phosphoric acid is esterified to the hydroxyl groups of serine and threonine residues of proteins.
Reference: Vasudevan 7th  ed, pg 43